Lugol's Iodine contains:
1. 5% iodine & 10% KI
2. 10% iodine & 20% KI
3. 10% iodine & 15% KI
4. 5% iodine & 15% KI

Correct answer: 1. 5% iodine & 10% KI